Autonomous zone of sensory supply by radial nerve is -
1. 1st dorsal web space
2. Tip of index finger
3. Tip of thumb
4. Tip of little finger

Correct answer: 1. 1st dorsal web space

Explanation: Ans. is 'a' i.e., 1st dorsal web space Autonomous Zone of peripheral nerves:* Radial nerve: 1st dorsal web space of hand (Anatomical snuffbox)* Median nerve: Distal phalanx (tip) of index finger (2nd finger)# Other: Tip of thumb* Ulnar nerve: Distal phalanx (tip) of little finger (5th finger)* Common peroneal nerve/Common fibular nerve/External popliteal nerve/Lateral popliteal nerve: Central strip on dorsum of foot* Deep peroneal nerve: 1st dorsal web space* Posterior tibial nerve: Sole of foot* Sciatic nerve: Mixed pattern of Common peroneal nerve and Posterior tibial nerve